Maddox rod test is used for testing ?
1. Macular function
2. Lens opacity
3. Amount of tear production
4. Vitreous hemorrhage

Correct answer: 1. Macular function

Explanation: Ans. is 'a' i.e., Macular function